In living persons: 1) Motile sperms are usually seen upto 6 hours 2) Complete sperms are seen upto 26 hours
1. Both are true
2. Both are false
3. 1 is true, 2 is false
4. 2 is true, 1 is false

Correct answer: 1. Both are true

Explanation: In living persons: Motile sperms are usually seen upto 6 hours, rarely upto 12 hours Complete sperms are seen upto 26 hours, occasionally upto 2 - 3 days